Caudate lobe of liver is-
1. I
2. III
3. W
4. VI

Correct answer: 1. I

Explanation: Ans. is 'a' i.e., I o The portion of liver on the left side of falciform ligament is left (anatomical) lobe of liver. And in Couinaud's functional segmentation of liver, the segment number 2, 3, 4a and 4b form the left liver lobe.Right lobeLeft lobeo Anterioro Lateraly Right anterior inferior - Segment Vy Right anterior superior - Segement VIIIy Left lateral superior - Segment IIy Left lateral inferior - Segment IIIo Posterioro Medialy Right posterior inferior - Segment VI# Right posterior superior -Segment VII# Segment IV (Quadrate lobe)i) Left medial superior - IV aii) Left medial inferior - IV bo Caudate lobe (segment I) is posterior segment